All of the following are true about MOA of anti hypertensive drugs EXCEPT:
1. Act by Na+ K+ ATPase inhibition
2. Thiazide Diuretics
3. Alpha adrenergic blockade
4. Beta adrenergic blockade

Correct answer: 1. Act by Na+ K+ ATPase inhibition

Explanation: Ans. (a) Act by Na+ K+ ATPase inhibitionRef. KDT 6th ed. / 540* Thiazide and related drugs (chlorthalidone) are the diuretic of choice in uncomplicated hypertension. It acts by reducing plasma volume and by decreasing total peripheral resistance.* Alpha receptors are present on vessel wall, which upon stimulation constricts vessel wall and increase t.p.r. Alpha adrenergic blocking agents like Prazosin, terazosin, doxazosin and phentolamine inhibit the alpha receptor and decrease t.p.r.* b1 receptors are present on heart, which upon stimulation increase the heart rate. Beta adrenergic blockers like nebivolol, metoprolol, atenolol etc are some of the beta blockers which depresses myocardial contractility, and decreases the stroke volume.* Na+ K+ ATPase inhibition is done by Digitalis. Digitalis however has no role in control of hypertension. It is used in congestive heart failure and atrial fibrillation.Also Know* DIgitalis MOA in atrial fibrillation: decreases conduction.* M/c side effect of digitalis: nausea/vomiting.* MC cardiac side effect (arrhythmia) caused by digitalis: Ventricular Bigeminy.* DOC for digitalis induced arrhythmia: LIGNOCAINE